In triage green colour indicates -
1. Ambulatory patients
2. Dead or moribund patients
3. High priority treatment or transfer
4. Medium priority or transfer

Correct answer: 1. Ambulatory patients

Explanation: Ans. is 'a' i.e., Ambulatory patients There are 4 triage categories I. Green - Minor/Ambulatory 3. Yellow - Delayed 2. Red -- Immediate 4.Black - Dead or nonsalvageable Minor (Green) they should be separated from the general group at the beginning of the triage operations ( k/a "Walking wounded" these patients can be used to assist in treatment of those patients tagged as immediate. Immediate (Red) in these patients, ventilation is present only after repositioning the airway. respiratory rate is greater than 30 / min. delayed capillary refill (> 2 sec) unable to follow simple commands Delayed (Yellow) - any patient who does not fit into either the immediate or minor categories. Deceased (Black) - no ventilation present even after repositioning the airway. So in this question : Option 'a' ie Ambulatory pts --> Green Option 'b' ie Deed or moribund pts --> Black Option'c' ie High priority treatment or transfer --> Red Option 'd' ie Priority or transfer --> Yellow